Which of the following is not a neural crest derivative:
1. Adrenal cortex
2. Odontoblast
3. Melanocytes
4. None of the above

Correct answer: 1. Adrenal cortex

Explanation: Neural crest derivatives include:Connective tissue and bones of the face and skullCranial nerve ganglia Cells of the thyroid glandConotruncal septum in the heartOdontoblastsDermis in face and neckSpinal (dorsal root) gangliaSympathetic chain and preaortic gangliaParasympathetic ganglia of the gastrointestinal tractAdrenal medullaSchwann cellsGlial cellsMeninges (forebrain)MelanocytesSmooth muscle cells to blood vessels of the face and forebrain Ref: Langman's embryology 11th edition Chapter 7.